The vitelline vein forms the
1. Hepatic vein
2. Azygos vein
3. Inferior mesenteric vein
4. Splenic vein

Correct answer: 1. Hepatic vein

Explanation: A i.e. Hepatic vein